All of the following are risk factors for carcinoma Gallbladder except
1. Typhoid carriers
2. Adenomatous gallbladder polyps
3. Choledochal cyst
4. Oral contraceptives

Correct answer: 4. Oral contraceptives

Explanation: There is no association with OCP's Risk factors for Carcinoma Gallbladder Gallstones >3cm Procelain gallbladder Anomalous pancreaticobiliary junction (APBDJ) Choledochal cysts Adenomatous polyps Primary sclerosing cholangitis Obesity Salmonella typhi infection Ref: Sabiston 20th edition Pgno :1510